Triple Assessment for CA Breast includes all except
1. Breast self examination
2. USG
3. FNAC
4. Mammogram

Correct answer: 1. Breast self examination

Explanation: In any patient presenting with breast lump or other symptoms auspicious of carcinoma the diagonosis is made by combination of: -clinical assessment -radiological imaging -tissue sample for cytological or histological analysis. These are called Tripple assessment. Bailey and Love'sSho practice of surgery.Edition 23.Pg no:751